Metabolic acidosis is seen in all except:
1. Diabetic ketaacidosis
2. Emphysema
3. Aspirin overdose
4. Uremia

Correct answer: 2. Emphysema

Explanation: Ans. B: EmphysemaMetabolic acidosis occurs when the body produces too much acid, or when the kidneys are not removing enough acid from the bodyDiabetic acidosisHyperchloremic acidosis results from excessive loss of sodium bicarbonate from the body,Lactic acidosis is a buildup of lactic acid-alcohol, cancer, liver failure, low blood sugarCommon mnemonic is mudpileM - Methanol U - UremiaD - Diabetic Ketoacidosis (also alcohol ketosis, starvation ketosis)P - Para-aldehydeI - Isoniazid, Iron, Inborn Errors of MetabolismL - Lactic AcidE - Ethylene GlycolS - Salicylates